Modified Biophysical Profile, used for antenatal fetal surveillance, includes:
1. NST+ AFI
2. NST+AFI+FETAL TONE
3. AFI+FETAL TONE
4. AFI+FETAL MOVEMENT

Correct answer: 1. NST+ AFI

Explanation: 5 components of BPP are : 1)Nonstress test 2)Fetal breathing 3)Fetal movement 4)Fetal tone 5)Amniotic fluid volume Modified BPP = NST and AFI